Blow out fracture orbit may involve
1. Floor
2. Apex
3. Lateral wall
4. Base

Correct answer: 1. Floor

Explanation: Since medial wall is the weakest wall ,it can be involved in blow out fracture along with the floor. Such patients present with subcutaneous emphysema Refer khurana 6/e 410